Which of the following is not mediated through negative feed back mechanism :
1. BP
2. GH formation
3. Thrombus formation
4. ACTH release

Correct answer: 3. Thrombus formation

Explanation: C i.e. Thrombus formation